Which of the following step is known as gateway to cell cycle?
1. G0 to G1
2. G1 to S
3. S to G2
4. G2 TO M

Correct answer: 1. G0 to G1

Explanation: Cells can enter G1 either from G0 (quiescent cells) or after completing mitosis (continuously replicating cells). Quiescent cells first must go through the transition from G0 to G1, the first decision step, which functions as a gateway to the cell cycle. Ref: Robbins 8th edition Chapter 3.